Anniversary reaction is associated with which disorder?
1. Adjustment disorder
2. Acute stress reaction
3. Grief reaction
4. Post traumatic stress disorder

Correct answer: 3. Grief reaction

Explanation: Anniversary reaction Type of grief reaction Grief occurs on a special occasion and there is rekindling of grief Occurs on same day when a person has died In the severe form it can even lead to sucide attempt